A 50-year-old woman appears at your office. She was subjected to radical mastectomy and axillary node dissection for breast cancer a year ago. She now notices that her arm becomes swollen by the end of the day. What is the appropriate name for this fluid accumulation?
1. Chylothorax
2. Hydrothorax
3. Lymphedema
4. Purulent exudate

Correct answer: 3. Lymphedema

Explanation: Obstruction of lymphatic flow may occur in a number of clinical settings, but is most common because of surgical removal of lymph nodes or tumor obstruction. For example, the lymphatic system may be obstructed after axillary lymph node dissection for breast cancer. Prolonged lymphatic obstruction in the patient's shoulder causes edema, progressive dilation of lymphatic vessels (lymphangiectasia), and overgrowth of fibrous tissue. Lymphangiosarcoma has also been described. Chylothorax (choice A) represents an accumulation of lymphedema in the pleural space. Exudates (choices D and E) are associated with acute inflammation.Diagnosis: Lymphedema, breast cancer